Which one of the following is not associated with risk of cancer
1. Smoking
2. Alcohol
3. Chewing betel
4. Excess fibre

Correct answer: 4. Excess fibre

Explanation: (D) Excess fibre